Normal A: V ratio of retinal blood vessels is:
1. 1:02
2. 2:03
3. 3:02
4. 3:04

Correct answer: 2. 2:03

Explanation: Ans. 2 : 3